The drug of choice in Chorio ' Carcinoma is:
1. Methotrexate
2. Actinomycin-D
3. Vincristine
4. 6-thioguanine

Correct answer: 1. Methotrexate

Explanation: Methotrexate